Initial ECG change in Hyperkalemia is?
1. Tall tented T waves
2. PR prolongation
3. qRS widening
4. ST segment depression

Correct answer: 1. Tall tented T waves

Explanation: Ans.(a) Tall tented T wavesRef: Harrison 19th ed. / 310Serum potassium > 5.5 mEq/L is associated with repolarization abnormalities:* Peaked T waves (usually the earliest sign of hyperkalemia) Serum potassium >6.5 mEq/L is associated with progressive paralysis of the atria:* P wave widens and flattens* PR segment lengthens* P waves eventually disappearSerum potassium >7.0 mEq/L is associated with conduction abnormalities and bradycardia:# Prolonged QRS interval with bizarre QRS morphology# High-grade AV block with slow junctional and ventricular escape rhythms* Any kind of conduction block (bundle branch blocks, fascicular blocks)* Sinus bradycardia or slow AF* Development of a sine wave appearance (a pre-terminal rhythm)Serum potassium level of > 9.0 mEq/L causes cardiac arrest due to:* Asystole* Ventricular fibrillation